What is medial most in femoral triangle:
1. Vein
2. Aery
3. Nerve
4. Lymphatics

Correct answer: 4. Lymphatics

Explanation: Lymphatics Ref: BDC Anatomy 4/e p50-53; Moore's Anatomy 5/e p600Femoral triangleThe femoral triangle (of Scarpa) is an anatomical region of the upper inner human thigh. It appears as a depression inferior to the inguinal ligament when the thigh is actively flexed at the hip joint. Its main contents are the femoral vessels and the femoral nerve.BoundariesIt is bounded by:Superiorly- the inguinal ligamentMedially- the medial border of adductor longus muscle Laterally- the medial border of saorius muscleFloorThe muscular floor of the femoral triangle is not flat but gutter-shaped.It is formed from lateral to medial by?- iliopsoas- pectineus- adductor longusRoofThe roof of the femoral triangle is formed by the fascia lata and cribriform fascia, subcutaneous tissue, and skin. femoral.ContentsThe contents of the femoral triangle, from lateral to medial, are the:Femoral nerve and its (terminal) branches.Femoral sheath and its contents:-Femoral aery and several of its branches.-Femoral vein and its proximal tributaries (e.g., the great saphenous and deep femoral veins).-Deep inguinal lymph nodes and associated lymphatic vessels.Femoral SheathThe femoral sheath is a funnel-shaped fascial tube of varying length (usually 3 to 4 cm) that encloses proximal pas of the femoral vessels and creates the femoral canal medial to themThe femoral sheath is subdivided internally into three compaments.Lateral compament for -the femoral aery & femoral branch of genitor femoral nerveIntermediate compament for -the femoral vein.Medial compament (the femoral canal) contains -loose connective tissue, fat, a few lymphatic vessels, and sometimes a deep inguinal lymph node (Cloquet node).Also Know: The base of the femoral canal is called the femoral ring. Femoral canal is the site of femoral hernia.